All of these are required for digestion of dietary fata) Bile pigmentsb) Gastric lipasec) Colipased) Bile saltse) Pancreatic lipase
1. abd
2. acd
3. cde
4. ade

Correct answer: 3. cde

Explanation: Enzymes required for fat digestion
-        Pancreatic lipase
-        Colipase
-        Bile salts activated lipase
-        Cholesterol ester hydrolase
-        Phospholipase A2
-        Trypsin (Indirect)- Activates Procolipase to colipase
 
 
Lingual and gastric lipase doesn’t help much in fat digestion.